The clinical indications for tricyclic anti-drepressants include all the following EXCEPT:
1. Enuresis in elderly subject
2. Neuropathic pain
3. Panic disorder
4. Uncontrolled seizure

Correct answer: 4. Uncontrolled seizure